Essential pentosuria is seen in defect of which pathway?
1. HMP shunt
2. Uronic acid pathway
3. TCA cycle
4. Gluconeogenesis

Correct answer: 2. Uronic acid pathway

Explanation: Essential pentosuria is defect in glucuronic acid pathway of glucose. is an inborn error of metabolism. In the pathway, L-xylulose is converted to D-xylulose by 2 enzymes, xylitol dehydrogenase, and xylulose reductase. of any of these enzymes leads to pentosuriaRef: DM Vasudevan, 7th edition, page no: 135